A fundamental technique used in psychoanalysis is -
1. Concentration
2. Hypnosis
3. Empathy
4. Free association

Correct answer: 4. Free association

Explanation: Psychoanalysis is based on the principle of free association, where the patient is asked to say whatever comes to mind.